Which of the following conditions does not require any treatment unless it becomes symptomatic
1. Subacute pulpitis
2. Chronic pulpitis
3. Pulp fibrosis
4. Apical cyst

Correct answer: 3. Pulp fibrosis

Explanation: Pulp fibrosis is a result of senile changes or low grade trauma to the tooth and is usually asymptomatic.it is more evident in the radicular portion of the pulp than elsewhere.
grossman..12th ed pg 34